A 24 year old male presents to OPD with sensitivity to cold water. On intraoral examination, 46 is carious and dentist decides to restore the teeth with amalgam restorative material with zinc phosphate base. Which of the following statements  are true regarding manipulation of this cement?
1. Spatulate each increment of powder for 15 to 20 seconds before adding another increment
2. Mixing should be completed within 1.5 to 2 minutes
3. Most of the area of the mixing slab should be used to dissipate heat
4. All of the above

Correct answer: 4. All of the above

Explanation: Mixing of Zinc Phosphate Cement
Mixing of this cement should be initiated by incorporating the smallest portion of powder using a thin spatula and brisk spatulation. Most of the area of the mixing slab should be used to dissipate heat. A good rule to follow is to spatulate each increment of powder for 15 to 20 seconds before adding another increment, and all mixing should be completed within 1.5 to 2 minutes. After the powder is completely incorporated and a creamy mixture has been created, the cement is drawn across the slab and the flat blade of the mixing spatula contacts the mixture and is slowly drawn away. If a string of cement can be lifted 12 mm (12  inch) to 19 mm (~ 34 inch) before separating from the spatula, the cement is considered fluid enough for cementing a prosthesis. If the string exceeds 19 mm, the  cement is too viscous for proper seating of prostheses and another mixture should be made. After the prosthesis is coated with the cement and is seated, it should be held under pressure until the cement sets. The field of operation should be kept dry during the entire seating procedure.